A middle aged man comes to OPD with paraesthesia of hands and feet, hyperkeratosis of palms, rain drop pigmentation and transverse lines on nails. Most likely the person is having -
1. Arsenic poisoning
2. Lead poisoning
3. Mercury poisoning
4. Cadmium poisoning

Correct answer: 1. Arsenic poisoning

Explanation: The man in question has :

(i) Paresthesia of hands and feet
(ii) Raindrop pigmentation
(iii) Hyperkeratosis of palm    
(iv) Transverse lines on the nail (mees' line)

All are seen in arsenic poisoning.